In chronic, granulomatous inflammation, which of the following processes is most likely to predominate?
1. Exudation
2. Congestion
3. Transudation
4. Proliferation

Correct answer: 4. Proliferation